Anticonvulsant causing visual field contraction is:
1. Vigabatrin
2. Levetiracetam
3. Ethosuximide
4. Phenytoin

Correct answer: 1. Vigabatrin

Explanation: Vigabatrin can cause visual field contraction, production of behaviour changes,depression or psychosis as adverse effects. REF KD TRIPATHI 8TH ED.